Severity of Aortic stenosis is determined by ?
1. Late ejection systolic murmur
2. ST-T changes
3. LV Hypertrophy with displaced apex
4. All the above

Correct answer: 4. All the above

Explanation: Severity of aortic stenosis is determined by late ejection systolic murmur, LVH,ST-T changes. Ref : Ghai essential of pediatrics, eighth edition, p.no:430